In case of subarachnoid haemorrhage, investigation of choice is:
1. Non contrast CT scan
2. MRI
3. MRI angio with imaging
4. Ultrasound

Correct answer: 1. Non contrast CT scan

Explanation: Ans. A: Non contrast CT scan The diagnosis of SAH can be made on CT, but a negative result does not exclude the diagnosis since small amounts of blood in the subarachnoid space cannot be detected by CT